Failure of the choroid fissure to close results in
1. Congenital detached retina
2. Congenital aniridia
3. Congenital aphakia
4. Coloboma iridis

Correct answer: 4. Coloboma iridis

Explanation: Failure of the choroid (optic) fissure to close results in a cleft of the iris--called coloboma iridis (mostly in inferonasal position). This defect may extend into the ciliary body, choroid, optic nerve, or retina. Congenital aphakia--absence of the lens--may result from defective development of the lens placode.